Which of the following effects of adrenaline would be blocked by phentolamine but NOT by propanolol?
1. Cardiac stimulation
2. Relaxation of bronchial smooth muscle
3. Relaxation of the uterus
4. Contraction of the radial smooth muscle in the iris

Correct answer: 4. Contraction of the radial smooth muscle in the iris

Explanation: Phentolamine is an a blocker whereas propranolol is a b blocker. So, phentolamine will block those actions which are mediated by a receptors .i.e. contraction of radial smooth muscle in the iris.